"Corps ronds and corps grains" are seen in:
1. Darier's disease
2. Hailey Hailey disease
3. Chronic bullous disorder of childhood
4. Epidermolysis bullosa dystrophica

Correct answer: 1. Darier's disease

Explanation: Corps ronds and corps grains are dyskeratotic granulocytes seen in epidermis which is charcteristic feature of "Darier's disease"